One of the following microfilaria does not posses nuclei upto tail tip -
1. W. bancrofti
2. Loa- Loa
3. M. perstons
4. B. malayi

Correct answer: 1. W. bancrofti